In GOBI, O stands for
1. Oral hygiene
2. Oral rehydration
3. Oral drugs
4. None of the above

Correct answer: 2. Oral rehydration

Explanation: G - growth monitoring O - oral rehydration B - breast feeding I - immunization